Best indicator of availability, utilization & effectiveness of health services
1. MMR
2. IMR
3. Hospital bed occupancy rate
4. DALY

Correct answer: 2. IMR